Intraocular lenses are made up of
1. PMMA
2. HEMA
3. Glass
4. Plastic

Correct answer: 1. PMMA

Explanation: A i.e. PMMA The Optic part of non foldable lenses are made up of PMMA (Poly methyl methacrylate) Q where as foldable lenses are made up of silicon, hydrophobic or hydrophilic acrylic.Q The Haptic part of both is made of polypropylene, PMMA, acrylic. Lens Made up of Contact lens: 1. Hard PMMA (Polymethyl methaacrylate) Q 2. Soft HEMA (Hydroxy methyl methaacrylate) Q 3. Semi soft PMMA + Silicon + CAB Intraocular lens: 1. Optic part Non foldable PMMA Q Foldable Silicone, Hydrophilic & Hydrophobic acrylic 2. Haptic part Polypropylene, PMMA, Acrylic